According to the 2010 WHO criteria the characteristics of normal semen analysis are:
1. Volume 1.5ml, count 15 million/ml, morphology 4%, progressive motility 32%
2. Volume 2.0ml, count 20 million/ml, morphology 4%, progressive motility 32%
3. Volume 1.5ml, count 20 million/ml, morphology 4%, progressive motility 32%
4. Volume 2.0ml, count 15 million/ml, morphology 4%, progressive motility 32%

Correct answer: 1. Volume 1.5ml, count 15 million/ml, morphology 4%, progressive motility 32%

Explanation: Ans. A. Volume 1.5ml, count 15million/ml, morphology 4%, progressive motility 32%a. Semen volume: 1.5mL or moreb. pH:7.2 or morec. Count: 15million/mL or mored. Motility (within 1 hour of collection) Total motility (progressive + non progressive): 40% or moree. Progressive motility: 32% or moref. Vitality (live spermatozoa): 58% or moreg. Sperm morphology (normal forms): 4% or more